Which of the following Mapleson systems has no rebreathing bag?
1. B
2. C
3. D
4. E

Correct answer: 4. E

Explanation: Mapleson E/Ayre's T piece doesn't have a Rebreathing bag. If we add a Rebreathing bag it forms Mapleson F which is a circuit of choice for Paediatric patients both for Spontaneous and Controlled ventilation.